lncontinence in elderly female b most commonly due lo :
1. Detrusor instability
2. True stress incontinence
3. Vesicovaginal fistule
4. Outlet obstruction

Correct answer: 1. Detrusor instability

Explanation: Detrusor instability